World Tuberculosis day
1. March 1st
2. March 24th
3. April 1st
4. April 24th

Correct answer: 2. March 24th

Explanation: World Tuberculosis Day, observed on 24 March each year, is designed to build public awareness about the global epidemic of tuberculosis and efforts to eliminate the disease. Ref :